All the following are true regarding Brachial plexus EXCEPT
1. Lateral cord-- Musculocutaneous nerve
2. Medial cord-- Ulnar nerve
3. Posterior cord-- Axillary nerve
4. Erb's point-- Thoracodorsal nerve

Correct answer: 4. Erb's point-- Thoracodorsal nerve

Explanation: (D) Erb's point--Thoracodorsal nerve1. Waite's tip2. Claw hand3. Wrist drop4. Winged scapula5. Deltoid paralysis6. Saturday night palsy7. Difficulty flexing elbow, variable sensory loss8. Decreased thumb function, Pope's blessing9. Intrinsic muscles of hand, claw hand